Which precipitates at 50 oC-60 oC but disappears on heating -
1. Heavy chain
2. Light chain
3. Both
4. None of the above

Correct answer: 2. Light chain

Explanation: Light chain is tested by heating urine to 140degF (60degC). At this temperature, the Bence Jones proteins will clump. The clumping disappears if the urine is further heated to boiling and reappears when the urine is cooled. Reff: Ananthanarayan & Panikers textbook of microbiology 9th edition pg:99